Left anterior descending artery is a branch of:
1. Right coronary artery
2. Left coronary artery
3. Ascending aorta
4. Coronary sinus

Correct answer: 2. Left coronary artery

Explanation: Ans. B Left coronary arteryRef: Gray's Anatomy Review E-book, P 80Left anterior descending artery is a branch of left coronary artery.